Enzyme responsible for transfer of aminogroups from one aminoacid to a keto acid is-
1. Transaminase
2. Transketolase
3. Ketoisomerase
4. Amine synthetase

Correct answer: 1. Transaminase

Explanation: Ans. is 'a' i.e., TransaminaseTransaminases* Transaminases belong to transferase class of enzymes.* They transfer amino group from an aminoacid to an a ketoacid, converting the aminoacid to a ketoacid. The ketoacid which accepts the aminogroup becomes an aminoacidAminoacid 1 + a Ketoacid 1 ------------ a Ketoacid 2 + Aminoacid 2Examples# Aspartate Transaminase(AST) or Serum Glutamate Oxaloacetate Transaminase(SGOT)* Aspartate, an aminoacid reacts with a ketoacid, a Ketoglutarate in the presence of transaminase. Aspartate donates its aminogroup to a Ketoglutarate, converting a Ketoglutarate into an aminoacid glutamate. In this process aspartate becomes a ketoacid, which is oxaloacetate.Aspartate + a ketoglutarate------------AST/SGOTOxaloacetate + Glutamate# Alanine Transaminase (ALT) or Serum Glutamate pyruvate Transaminase(SGPT)* Alanine, an aminoacid reacts with a ketoacid, a Ketoglutarate in the presence of a transaminase. Alanine donates its aminogroup to a Ketoglutarate, converting a Ketoglutarate into an aminoacid glutamate. In this process alanine becomes a ketoacid, which is Pyruvate.Alanine + a ketoglutarate------------ALT/SGPTGlutamate + Pyruvate* These transaminases need Pyridoxal phosphate as coenzyme